Defective DNA repair is seen in all EXCEPT?
1. Xeroderma pigmentosum
2. Werner syndrome
3. Bloom syndrome
4. Fredreich's ataxia

Correct answer: 4. Fredreich's ataxia